Super antigen is produced by which of the following-
1. Streptococcus pyogenes
2. Clostridium perfringens
3. Vibrio cholerae
4. Staphylococcus epidermidis

Correct answer: 1. Streptococcus pyogenes

Explanation: Erythrogenic/Pyrogenic toxins are superantigens produced by Streptococcus pyogenes. They cause streptococcal toxic shock syndrome. Streptococcal toxic shock syndrome(STSS) is a rare, but serious bacterial infection. STSS can develop very quickly into low blood pressure, multiple organ failure, and even death. Examples of Bacterial super-antigens: Staphylococcal toxin Streptococcal toxin o Mycoplasma ahritidis mitogen 1 Yersinia enterocolitica Yersinia pseudotuberculosis Viral:EBV, CMV, Rabies nucleocapsid, HIV encoded nef (negative regulatory factor) Fungal superantigen: Malassezia furfur